You have injected local anaesthesia for a patient for extraction of lower molar using classical inferior alveolar nerve block. Which space has the highest chance of infection with this block?
1. Lateral pharyngeal space
2. Pterygomandibular space
3. Para pharyngeal space
4. Pretracheal space

Correct answer: 2. Pterygomandibular space